Excessive eating of non-nutritive substances is called-
1. PICA
2. Anorexia nervosa
3. Prune belly disease
4. Dyslexia

Correct answer: 1. PICA

Explanation: Pica involves repeated or chronic ingestion of non-nutritive substances, which includes plaster, charcoal, clay, woo: ashes, patent & earth, o More common associated with autism :
Family disorganisation
Poor supervision
Psychologic Neglect
Geophagia (eating of the earth) is associated with pregnancy and some culture.